Therapeutic drug monitoring is required for:
1. Sulfonamides
2. Metformin
3. Cycloserine
4. Gentamycin

Correct answer: 4. Gentamycin

Explanation: Ans. D: Gentamycin